Daily caloric needs in pregnancy is about.........cal. :
1. 1000
2. 1500
3. 2500
4. 3500

Correct answer: 3. 2500

Explanation: Ans. is c i.e. 2500 Kcal